Gall bladder is lined by
1. Ciliated columnar cells
2. Brush bordered columnar epithelium
3. Striated columnar epithelium
4. Pseudostratified columnar cells

Correct answer: 2. Brush bordered columnar epithelium

Explanation: Ans. (b) Brush bordered columnar epitheliumRef: BDC 6th edny vol. 11/288-89B MICROVILLI* When microvilli are of same height & arranged regularly, they are termed as striated border, as observed in small intestine.* If they are of irregular height, they will constitute the brush border as seen in gall bladder and proximal convoluted tubules of kidney - (Grays anatomy).